Repetitive hand washing is a symptom of
1. Post traumatic stress disorder
2. Depression
3. Anorexia nervosa
4. Obsessive compulsive disorder

Correct answer: 4. Obsessive compulsive disorder

Explanation: Obsessive compulsive disorder (OCD) is characterized by recurrent, irresistible, intrusive, irrelevant and EGO DYSTONIC thoughts. They present with CONTAMINATION OBSESSIONS- WASHING COMPULSIONS PATHOLOGICAL DOUBT OBSESSIONS- CHECKING COMPULSIONS Patients may present with repeated doubts of wheather they have locked the door or vehicles and to counter those obsessions they do repeated checking compulsions Sometimes they may present with obsessions of contamination and fear of di and to counter those obsessions they may present with washing compulsions. Ref- Table 10.1-4, Synopsis of psychiatry, 11e, pg 423.